Maximum voluntary ventilation is
1. 25 L/min
2. 50 L/min
3. 100 L/min
4. 150 L/min

Correct answer: 4. 150 L/min

Explanation: The maximal voluntary ventilation (MVV) is the largest volume of gas that can be moved into and out of the lungs in 1 min by voluntary effort. The normal MVV is 125 to 170 L/min.Ref: Ganong review of medical physiology 23rd edition Page no: 593